False statement about Racecadotril is
1. It is a peripheral acting enkephalinase inhibitor
2. It is a drug used in constipation
3. It is metabolized by liver
4. It has antisecretory action on GIT

Correct answer: 2. It is a drug used in constipation

Explanation: Racecadotril is used in cases of diarrhoea, which acts by inhibiting breakdown of endogenous opioids by enkephalinase enzyme.